The normal cellular counterparts of oncogenes are important for the following functions, except ?
1. Promotion of cell cycle progression
2. Inhibition of apoptosis
3. Promotion of DNA repair
4. Promotion of nuclear transcription

Correct answer: 3. Promotion of DNA repair

Explanation: o Normal cellular counterpart of oncogene is protooncogene.o The functions of protooncogene is to code forGrowth factorsGrowth factor receptorsProteins involved in signal transductionNeuclear regulatory proteins (transcription factors)Cyclins/CDKso All these lead to cell proliferation and progression of cell cycle.o When any of these protooncogenes becomes oncogene by mutation / overexpression, there is uncontrolled proliferation of cell and development of cancer.This proliferation is autonomous, i.e. without physiological stimulus.